All of the following vascular changes are observed in acute inflammation, except:
1. Vasodilation
2. Stasis of blood
3. Increased vascular permeability
4. Decreased hydrostatic pressure

Correct answer: 4. Decreased hydrostatic pressure